After head injury, biconvex, lenticular shape hematoma in CT scan is characteristic of which of the following :
1. Extradural haemorrhage
2. Subdural haemorrhage
3. Intracerebral hematoma
4. Diffuse-axonal injury

Correct answer: 1. Extradural haemorrhage

Explanation: Ans ie 'a' ie Extradural haemorrhage (Ref. : Chapman, 3/e, p438)CT scan (non-contrast) is the best diagnostic method to evaluate a head injury pt. (better than MRI)On CT scan -Extradural haemorrhage appears as biconvex lentiform opacity. *Subdural haemorrhage appears as concavoconvex crescentic opacity. *Intracerebral blood appears on small foci, typically at grey/white matter interface, or more centrally in the white matter.